Coagulase negative staphylococci includes all of the following except -
1. Staph epidermidis
2. Staph haemolyticus
3. Staph intermedius
4. Staph saprophyticus

Correct answer: 3. Staph intermedius

Explanation: Ans. is 'c' i.e., Staph intermedius